Screening of prostate Ca commonly done bya) DRE (digital rectal exam)b) USGc) MRId) PSAe) CT scan
1. b
2. ad
3. ac
4. ab

Correct answer: 2. ad

Explanation: CSDT 11/e writes - "Even so, the realities of clinical practice are that the combination of digital rectal examination and serum PSA monitoring is the most effective screening protocol."
This view of CSDT is supported by Smith's Urology
But if we have to choose one investigation, it would be PSA.